More than _____ of body surface is involved in Erythrodermic psoriasis
1. 80%
2. 85%
3. 90%
4. 95%

Correct answer: 3. 90%

Explanation: Erythrodermic psoriasis is characterised by fusion of margins and >90% of body gets involved